Normal prothrombin time is:
1. 5-7 sec
2. 10-20 sec
3. 30 sec
4. 1 min

Correct answer: 2. 10-20 sec